Porphyrins absorb light in the wavelength of:
1. 340 nm
2. 400 nm
3. 540 nm
4. 670 nm

Correct answer: 2. 400 nm

Explanation: Ref: Harper's Illustrated Biochemistry, 28th ed. Ch. 31. pp-272Explanation:"Porphyrins are strongly fluorescent: they absorb ultraviolet light (wavelength about 400 nm f nanometres), and re-emit it as a red light at about 630 nm. This property is used as the basis of most of our biochemical tests to detect porphyrins in urine, stool and blood."Porphyrias are a group of rare disorders caused by deficiencies of enzymes of the heme biosynthetic pathway. (See the following table) TypeEnzyme InvolvedMajor SymptomsLaboratory testsAcute intermittent porphyriaUroporphyrinogenlsvnchaseAbdominal pain NeurcpsvchiatricUrinary porphobilinogen |Congenitalerythropoietic porphyriaUroporphyrinogerc III cosynthasePhotosensitivityUrinary uroporphyrinPorphobilinogen|-Porphyria cutanea tardaUroporphyrinogenDecarboxylasePhotosensitivityUrinary uroporphyrinPorphobilinogen|-Variegate porphyriaProtoporphyrinogen OxidasePhotosensitivity Abdominal pain NeuropsychiatricUrinary uroporphyrinFecal coproporphyrinFecal protoporphyrin|||ErythropoieticprotoporphyriaFerrochelatasePhotosensitivityFecal protoporphyrinRed cell protoporphyrin||